35 weeks pregnancy, painless blood discharge, most likely diagnosis is -
1. Placenta previa
2. Abruptio placenta
3. Ectopic pregnancy
4. None

Correct answer: 1. Placenta previa

Explanation: Ans. is 'a' i.e., Placenta previa "The only symptom ofplacenta previa is vaginal bleeding. The classical features of bleeding in placenta previa are sudden onset, painless, apparently causeless & recurrent"o Abruptio placenta usually presents with abdominal pain or discomfort followed by vaginal bleeding,o Classical triad of ectopic pregnancy consists of abdominal pain, amenorrhea & lastly appearance of vaginal bleeding.